A 30yr female presented with mucosal bleeds on trauma and also has history of menorhhagia. BT and partial prothrombin time are elevated. Ristocetin assay is positive.What shall be the diagnosis?
1. Immune thrombotic purpura (ITP)
2. Haemophilia A
3. Haemophilia B
4. Von willebrand disease

Correct answer: 4. Von willebrand disease

Explanation: This is most likely a case of von Willebrand disease The most common inherited bleeding disorder due to deficient / defective von Willebrand factor. Hemophilia A Hemophilia B Von Willebrand Disease Inheritance X linked X linked Autosomal dominant Factor deficiency VIII IX VWF Bleeding site (s) Muscle, joint Surgical Muscle, Joint Mucousal, Skin Activated PTT Prolonged Prolonged Prolonged Bleeding Time Normal Normal Prolonged or normal Factor VIII Low Normal Normal VWF Normal Normal Low Factor IX Normal Low Normal